What is the major source of extracellular cholesterol for human tissues?
1. Very-low-density lipoproteins (VLDLs)
2. Low-density lipoproteins (LDLs)
3. High-density lipoproteins (HDLs)
4. Albumin

Correct answer: 2. Low-density lipoproteins (LDLs)

Explanation: The uptake of exogenous cholesterol by cells results in a marked suppression of endogenous cholesterol synthesis. Low-density human lipoprotein not only contains the greatest ratio of bound cholesterol to protein but also has the greatest potency in suppressing endogenous cholesterogenesis. normally suppress cholesterol synthesis by binding to a specific membrane receptor that mediates inhibition of hydroxymethylglutaryl (HMG) coenzyme A reductase. In familial hypercholesterolemia the LDL receptor is dysfunctional, with the result that cholesterol synthesis is less responsive to plasma cholesterol levels. Suppression of HMG CoA reductase is attained using inhibitors (statins) that mimic the structure of mevalonic acid, the natural feedback inhibitor of the enzyme. Note: The LDL (apoB-100, E) receptor is defective in familial hypercholesterolemia, a genetic condition in which blood LDL cholesterol levels are increased, causing premature atherosclerosis. Ref: Botham K.M., Mayes P.A. (2011). Chapter 25. Lipid Transport & Storage. In D.A. Bender, K.M. Botham, P.A. Weil, P.J. Kennelly, R.K. Murray, V.W. Rodwell (Eds), Harper's Illustrated Biochemistry, 29e.